Most common cause of community acquired pneumonia -
1. Strep pneumoniae
2. Kleb pneumoniae
3. Vibrio cholera
4. H. influenzae

Correct answer: 1. Strep pneumoniae

Explanation: Ans. is 'a' i.e., Strep. pneumoniae